Inventor of orthopantomographic machine is:
1. Hounsfield
2. Roentgen
3. Kell
4. Numata

Correct answer: 4. Numata

Explanation: Paatero and, independently, Numata were the first to describe the principles of panoramic radiography. Figure given shows a schematic view of the relationships between the X-ray source, the patient, the secondary collimator and the image receptor during panoramic image formation.